Which is of the following drug is known as Angel dust?
1. Cannabis
2. Cocaine
3. Ecstasy
4. Phencyclidine (PCP)

Correct answer: 4. Phencyclidine (PCP)

Explanation: Ans. D. Phencyclidine (PCP)Abused drug - Synonym/manifestation* Methylenedioxymethamphetamine. MDMA: Rave drug/Ecstasy.* LYSERGIC ACID DIETHYLAMIDE (LSD): "bad trip"* Methamphetamine: Also called "meth," "speed," "crank," "chalk," "ice," "glass," or "crystal."* Phencyclidine (PCP): "Angel dust"* MARIJUANA (CANNABIS): Delta-9-tetrahydrocannabinol (THC); "Hash oil"